Restrictive cardiomyopathy is not associated with?
1. Alcohol
2. Hemochromatosis
3. Amyloidosis
4. Sarcoidosis

Correct answer: 1. Alcohol

Explanation: Ans. is 'a' i.e., Alcohol * Restrictive cardiomyopathy is characterized by a primary decrease in ventricular compliance, i.e., ventricles become stiff. Resulting in impaired ventricular filling during diastole because heart cannot relax normally during diastole - Diastolic dysfunction. Ventricles are normal in size (or slightly enlarged) without any dilatation of cavity. Atrial cavities are dilated. There is interstial fibrosis.* Important causes of restrictive cardiomyopathy are:-# Three most common causes - Amyloidosis, Radiation, myocardial fibrosis after open heart surgery.# Others - Sarcoidosis, hemochromatosis, carcinoid syndrome, Fabry's disease, Loeftler's syndrome, scleroderma, glycogen depositon, neoplasm.